Most common feature of opiate poisoning:
1. Respiratory depression
2. Hypotension
3. Bradycardia
4. Hypothermia

Correct answer: 1. Respiratory depression

Explanation: Ans. Respiratory depression